Maximum permissible whole body radiation exposure per year is-
1. 3 rem
2. 5 rem
3. 10 rem
4. 15 rem

Correct answer: 2. 5 rem

Explanation: Ans. is 'b' i.e., 5 rem Annual Maximum Permissible Dose Limitsmremrem 5,0005Whole Body Deep Dose Equivalent(Head, trunk, active blood-forming organs & reproductive organs)50,00050Whole Body Shallow Dose Equivalent (Skin of the whole body)15,00015Lens of Eye Dose Equivalent50,00050Extremities (Hands, fore arms, feet and ankles)